Increased insulin receptors are seen in
1. Obesity
2. Starvation
3. Acromegaly
4. None

Correct answer: 2. Starvation

Explanation: Increased circulating levels of insulin reduce the number of receptors--down-regulation of receptors--and decreased insulin levels increase -the number of receptors - up Regulation.The number of receptors per cell is increased in starvation.Ref: DM Vasudevan, 7th edition, page no: 319